All of the following are hepatic porphyrias, EXCEPT:
1. Variegate porphyria
2. Acute intermittent porphyria
3. Porphyria Cutanea Tarda
4. Protoporphyria

Correct answer: 4. Protoporphyria

Explanation: X-linked protoporphyria, Congenital erythropoietic porphyria & Protoporphyria are the erythropoietic porphyrias. Porphyrias are divided based on their erythropoietic and hepatic clinical manifestations. Type of porphyria Erythropoietic porphyrias Acute hepatic porphyrias Clinical features: Cutaneous symptoms and appear in early childhood Variable extra-hepatic gastrointestinal manifestations Neurological-psychiatric symptoms Cardiovascular symptoms Complications: Cholestatic liver cirrhosis and progressive hepatic failure HCC